Angiosarcoma of the liver can occur due to occupational exposure to:
1. Asbestos
2. Benzene
3. Vinyl chloride
4. Toluene

Correct answer: 3. Vinyl chloride

Explanation: Ans. (c) Vinyl chloride(Ref: Robbins 9th/pg 870)Angiosarcoma of liver is associated with vinyl chloride, arsenic or Thorotrast exposure & has poor prognosis